Triradiate condensation of endopelvic fascia consisits of all except
1. Pubocervical ligament
2. Broad ligament
3. Mackenrodt's ligament
4. Uterosacral ligament

Correct answer: 2. Broad ligament

Explanation: Broad ligament does not constitute triradiate condensation of endopelvic fasica.